Granular contracted kidneyon one side and normal kidney on other side is suggestive of :
1. Chronic pyelonephritis
2. Polycystic kidney disease
3. RAS(Renal artery stenosis)
4. Tuberculosis of kidney

Correct answer: 1. Chronic pyelonephritis

Explanation: Chronic pyelonephritis